The disease associated with miss folded proteins is:
1. Typhoid
2. Prions disease
3. Cholera
4. All

Correct answer: 2. Prions disease

Explanation: Prions disease is produced due to miss folded proteins Most common type of prions disease is: creutzfeldt-jakob disease Ref:Guyton and Hall textbook of medical physiology 12th edition,page number:10,11,12